DOC in esophageal candidiasis in HIV-
1. Fluconazole
2. Miconazole
3. Amphotericin-B
4. Griseofulvin

Correct answer: 1. Fluconazole

Explanation: Drug of choice for esophageal candidiasis is - Fluconazole oral or itraconazole solution.